Hill - Sach's lesion seen in:
1. Anterior dislocation of hip
2. Posterior dislocation of hip
3. Recurrent dislocation of shoulder
4. Posterior dislocation of shoulder

Correct answer: 3. Recurrent dislocation of shoulder

Explanation: Hill Sach's lesion and Bankart lesion causes recurrent dislocation of shoulder
In previous year they asked about the Luxation Inferior dislocation.
Most common Type of Shoulder dislocation anterior dislocation of shoulder (sub-coracoid type) dislocation. Surgeries for Recurrent dislocation of shoulder:
Bankart’ s operation
Puti platt's operation Bristow's operation.